A malignant pustule is a term used for:
1. An infected malignant melanoma
2. A carbuncle
3. A rapidly spreading rodent ulcer
4. Anthrax of skin

Correct answer: 4. Anthrax of skin

Explanation: Ans. (d) Anthrax of skin Cutaneous anthrax is also known as Hide Porter's disease or malignant pustule.